Staphylococcal pathogenicity is indicated by
1. Coagulase positivity
2. Hemolysis
3. Lipoteichoic acid
4. Endotoxin

Correct answer: 1. Coagulase positivity

Explanation: Staph infections are caused by staphylococcus bacteria, commonly found on the skin or in the nose of even healthy individuals. Most of the time, these bacteria cause no problems or result in relatively minor skin infections. The virulence factors of Staph aureus are: Cell-associated factors Cell-associated polymers Cell surface proteins EXTRACELLULAR ENZYMES: Coagulase Lipid hydrolases Hyaluronidase Nuclease Protein receptors TOXINS: Cytolytic toxins Enterotoxin Exfoliative toxin Ref: Textbook of Microbiology; Ananthanarayanan and Panicker; 10th Edition; Page No:203, 204